All of the following are seen in pheochromocytoma. Except
1. Headache
2. Sweating episodes
3. Weight loss
4. Hypocalcemia

Correct answer: 4. Hypocalcemia

Explanation: Answer is D (Hypocalcemia): Pheochromacytomas may be associated with hypercakemia and are not associated with hypocalcemia. Clinical Features Associated with Pheochromocytoma Headaches Sweating attacks Palpitations and tachycardia Hypertension, sustained or paroxysmal Anxiety and panic attacks Pallor Nausea Abdominal pain Weakness Weight loss Paradoxical response to antihypertensive drugs Polyuria and polydipsia Constipation Orthostatic hypotension Dilated cardiomyopathy Erythrocytosis Elevated blood sugar Hypercalcemia